Facilitated diffusion is characterized by all except
1. Vmax
2. Competitive inhibition
3. Requires energy
4. Specificity

Correct answer: 3. Requires energy

Explanation: This process is called passive transport orfacilitated diffusion, and does not require energy. The solute can move "uphill," from regions of lower to higher concentration. This process is called active transport, and requiressome form of chemical energy. Ref ganong's review of medical physiology 25e p102